Mother friendly childbirth initiative was launched in
1. USA
2. Britain
3. Australia
4. India

Correct answer: 1. USA

Explanation: BBFHI: Description: To improve care throughout the childbearing continuum in order to save lives, prevent illness and harm from the overuse of obstetric technologies, and promote health for mothers and babies around the world Launched: 1996, USA
10 Steps of MFCI:
Step 1: Treat every woman with respect and dignity, providing her right to informed consent and refusal
Step 2: Possess and routinely apply midwifery knowledge and skills related to normal physiology
Step 3: Inform the mother of the benefits of continuous support during labour and birth,
Step 4: Provide drug-free comfort and pain-relief methods during labour
Step 5: Provide specific evidence-based practices proven to be beneficial
Step 6: Avoid potentially harmful procedures and practices that have no scientific support
Step 7: Implement measures that enhance wellness and prevent emergencies, illness, and death of Mother and Baby
Step 8: Provide access to evidence-based skilled emergency treatment for life-threatening complications
Step 9: Provide a continuum of collaborative maternal and newborn care with all relevant health care providers, institutions and organizations
Step 10: Strive to achieve the 10 Steps to Successful Breastfeeding (WHO/UNICEF Baby-friendly Hospital Initiative BFHI)